All are reducing sugars except-
1. a) Sucrose
2. b) Lactose
3. c) Glucose
4. d) Fructose

Correct answer: 1. a) Sucrose

Explanation: Explantion- Non reducing sugars- Disaccharides Sugar Units Linkage Trehalose (Sugar of insect hemolymph, yeast and fungi) aDGlucose + aDGlucose a1 ------- a1 linkage Sucrose (Cane Sugar) aDGlucose +b DFructose a1 ------- b2 linkage